Kluver - Bucy Syndrome is associated with lesion in-
1. Hippocampus
2. Amygdala
3. Mamillary body
4. Cerebral cortex

Correct answer: 2. Amygdala